High affinity Oestrogen receptors are found frequently in following except
1. Urethra
2. Bladder trigone
3. Pubococcygeal muscle
4. Ureter.

Correct answer: 4. Ureter.

Explanation: Estrogen receptor in urinary tract are found frequently in:

Bladder trigone
Urethra.

and also in pubococcygeus muscle.